Clonorches sinenensis is?
1. Tapeworm
2. Roundworm
3. Threadworm
4. Fluke

Correct answer: 4. Fluke

Explanation: Ans. is `d' i.e., Fluke Trematodes (fluke) These arc flat, leaf like helminths. They can be classified depending on their site of localization in human tissues. A) Blood flukes Vesical venous plexus : Schistosoma hematobium. Rectal venous plexus & portal venous system : S mansoni (inferior mesentric vein), S japonicum (superior mesenteric vein). B) Intestinal flukes Small intestine : Fasciola buski, Heterophyes heterophes, Metagonimus yokogawi, Watsonius watsoni. Large intestine : Gastrodiscoides hominis. C) Tissue flukes Liver flukes : Fasciola hepatica, Clonorchis sinensis, Opisthorchis felineus, 0 viverrini. Lung fluke : Paragonimus westermani. Trematodes are monoecious (hermaphrodite), i.e. sexes are not separate. One exception being Schistosomes, which are diecious with separate sexes. Trematodes complete their life cycle in three hosts: One definitive (man) and two intermediate hosts (Freshwater snail or mollusc as first intermediate host and fish or crab as second intermediate host). Trematodes are Oviparous and lay operculated eggs, except for schistosomes which lay non-operculated eggs.